Zollinger Ellison syndrome is characterized by all of the following except -
1. Post bulbar ulcer
2. Recurrent duodenal ulcer
3. Severe diarrhoea
4. Massive HCL in response to histamine injection

Correct answer: 4. Massive HCL in response to histamine injection